Gallows traction is used for fracture-
1. Shaft femur
2. Neck femur
3. Shaft tibia
4. Tibial tuberosity

Correct answer: 1. Shaft femur

Explanation: *Gallows traction is used for treatment of fracture shaft femur, in infants and children <2 yrs of age. Ref: Apley's 9th/e p.861